A 47-year-old man sees his dentist for a routine checkup. He states that his gums bleed easily on brushing his teeth. On examination, he is found to have marked gingival recession with erythema, along with extensive plaque and calculus formation over tooth surfaces. Which of the following organisms is most likely to be associated with development of his oral lesions?
1. Actinobacillus
2. Candida
3. Epstein-Barr virus
4. Herpes simplex virus

Correct answer: 1. Actinobacillus

Explanation: Periodontitis becomes more prevalent with age, often secondary to the effects of dental plaque formation driven by oral flora. The gingival recession increases the risk for dental caries. Regular dental cleanings to remove the plaque and regular gentle tooth brushing help to slow the progression of periodontitis. Some periodontitis cases arise in the setting of systemic disease. Candidiasis is seen in immunocompromised individuals and often forms an inflammatory membrane on the tongue. Epstein-Barr virus has been associated with development of hairy leukoplakia. Herpes simplex virus results in vesicles that can rupture and form superficial ulcers on oral mucosa. Human papillomavirus can drive squamous epithelial hyperplasia, dysplasia, and carcinoma. Mucor has broad, non-septate hyphae and can result in sinusitis, particularly in the setting of ketoacidosis.